All are true regarding Desflurane EXCEPT –
1. Low blood/gas partition coefficient
2. Minimum alveolar concentration range from 5–7%
3. Sweet smelling agent
4. Suitable for day care surgery

Correct answer: 3. Sweet smelling agent

Explanation: Desflurane is fastest acting inhalation anesthetic with minimum blood: gas partition coefficient of 0.42.
MAC of desflurane is 6.
Desflurane has pungent smell, in contrast to sevoflurane which is sweet smelling.
Desflurane is the inhalation agent of choice for day care surgery.